Causes of thickened gallbladder wall on ultrasound examination are all except:
1. Postprandial state
2. Cholecystitis
3. Congestive cardiac failure
4. Kawasaki disease

Correct answer: 4. Kawasaki disease

Explanation: Ans: D (Kawasaki disease) Ref: Manual of Emergency Critical Care Ultrasound Vicke E Noble. 2nd ed. Pg 156Explanation:Kawasaki disease is associated with hydrops of gallbladder.Gallbladder Wall Thickening A gallbladder wall that is thickened is a sign of inflammation. This is a non-specific finding, and many other pathologic processes, as well as a postprandial gallbladder, can give you falsely elevated measurements.It is important to measure the wall of the anterior gallbladder surface because of the acoustic enhancement artifact mentioned.Because sound waves travel through a fluid-filled structure, no attenuation occurs. Thus, when those sound weaves hit the back of the gallbladder, they will be so strong that they will obscure an accurate picture of the wall thickness.For gallbladder wall thickness, greater than 3 mm is abnormal.Differential for Thickened Gallbladder WallPostprandialRenal failureAscitesHepatitisHypoalbuminemiaHIV/AIDSAdenomyomatosisMultiple myelomaCholecystitisCongestive heart failure